Starter F-75 is started in case of _______
1. Beriberi
2. Kwashiorkor
3. Scurvy
4. Pellagra

Correct answer: 2. Kwashiorkor

Explanation: Starter F-75 is started in kwashiorkor. During stabilization phase of protein-energy malnutrition (PEM), initiate refeeding with frequent small amounts of F75 (a specially formulated low-lactose milk with 75 kcal and 0.9 g protein per 100 mL to which potassium, magnesium, and micronutrients are added). It will reestablish metabolic control, treat edema, and restore appetite. Give 8-12 small feeds of F75 to provide 130 mL/Kg/day, 100 Kcal/Kg/day and 1-1.5 g protein/Kg/day. After 3 days, transition to F100 (catch up diet), which provides 100 Kcal and 2.9 g, protein per 100 ml. After 1 week, increase to 150-200 kcal/Kg/day and protein 4-6 gm/kg/day Beriberi is a deficiency of Vitamin B1 (Thiamine) and requires treatment with thiamine for the resolution of the neurologic and cardiac symptoms Scurvy is caused by a prolonged deficiency of Vitamin C and treated with Vitamin C supplement therapy Pellagra is caused by the deficiency of Vitamin B3(niacin) and is treated with oral nicotinamide. Ref: Nelson Textbook of Pediatrics 21st edition Pgno: 341